Sleep disturbances are diagnosed by -
1. Polysomnography
2. Oximetry
3. Echocardiography
4. Orthography

Correct answer: 1. Polysomnography

Explanation: Ans. is 'a' i.e., Polysomnography * Polysomnography is an essential tool in the formulation of diagnoses for sleep disorder patients and in the enhancement of our understanding of normal sleep.